Vaccine which requires most stringent condition for storage -
1. DPT
2. OPV
3. BCG
4. TT

Correct answer: 2. OPV